Hapten is -
1. Same as epitope
2. Small molecular weight protein
3. Requires carrier for specific antibody production
4. Simple haptens are precipitate

Correct answer: 3. Requires carrier for specific antibody production

Explanation: Haptens are small molecules that elicit an immune response only when attached to a large carrier such as a protein Reff: Ananthanarayan & Panikers textbook of microbiology 9th edition pg:87